Brown color of contusion is due to:
1. Biliverdin
2. Reduced hemoglobin
3. Hemosiderin
4. Bilirubin

Correct answer: 3. Hemosiderin

Explanation: Color Pigment Time Duration Red Oxy hemoglobin Fresh Blue Deoxy hemoglobin Few hours - 3 days Brown Hemosiderin 4 -5 days Green Biliverdin/ hematoidin 6 -7 days Yellow Bilirubin 7 - 14 days